A middle-aged lady presents with complaints of lower back pain. On examination there is weakness of extension of right great toe with no sensory impairment. An MRI of the lumbosacral spine would most probably reveal a prolapsed intervetebral disc at what level?
1. L3 - L4
2. L4 - L5
3. L5 - S1
4. S1 - S2

Correct answer: 2. L4 - L5

Explanation: LUMBAR DISC PROLAPSE DEFINITION It is condition in which there is outpouching of the disc Nucleus pulposus along with few annular fibres and end plate cartilage through the tears in annulus fibrosus into the extradural space * Antalgic gait Affected hip more extended and knee more flexed than normal side * Trendelenberg gait (L5 nerve root) * List abrupt planar shift Axillary disc --same side Shoulder disc- opposite side * Thigh and calf muscle wasting * Loss of lumbar lordosis Paraspinal spasm-central furrow sign ref : maheswari 9thed